Following are signs of placental separation EXCEPT:
1. Uterus rises in abdomen
2. Uterus becomes discoid
3. Lengthening of cord
4. Fresh gush of blood from the vagina

Correct answer: 2. Uterus becomes discoid

Explanation: Ans. (b) Uterus becomes discoidRef. D.C Dutta 7h Ed. /131-312Clinical Course of Third Stage Of Labour* Third stage includes separation, descent and expulsion of the placenta with its membrane.Signs before and after placental separation* BEFORE SEPARATION: uterus becomes discoid in shape, firm in feel and non-ballottable.# Fundal height reaches slightly below the umbilicus* AFTER SEPARATION# Uterus becomes globular firm and ballotable# The fundal height is slightly raised# Sudden gush of vaginal bleeding upon separation.# Permanent lengthening of the cord.